Lupus Pernio is seen in:
1. Tuberculosis
2. SLE
3. PAN
4. Sarcoidosis

Correct answer: 4. Sarcoidosis

Explanation: Answer is D (Sarcoidosis): Pernio is a typical cutaneous manifestation of Sarcoidosis. Lupus Pernio is the most typical and easily recognizable skin lesions of Sarcoidosis. It is characterized by the presence of violaceous, purple blue shiny swollen lesions over the bridge of nose, beneath the eyes and over the cheeks. This specific complex of involvement of the bridge of nose, the area beneath the eyes and the cheeks is considered diagnostic for a chronic form of Sarcoidosis.